platelet activating factor causes all except:
1. Vasoconstriction
2. Bronchodilation
3. Causes platelet aggregation
4. transmits signals between cells

Correct answer: 2. Bronchodilation

Explanation: PAF is another phospholipid derived mediator having the following inflammatory effects: Platelet aggregation Vasoconstriction Bronchoconstriction At extremely low concentration, it may cause vasodilation and increased venular permeability Increases leukocyte adhesion to the endothelium (by enhancing integrin-mediated leukocyte binding), chemotaxis, degranulation, and the oxidative burst. Stimulates the synthesis of other mediators, particularly eicosanoids, by leukocytes and other cells. ref robbins 9/e page 89